Bluish discoloration of gastric mucosa is seen in the poisoning of
1. Mercury
2. Cadmium
3. Sodium Amytal
4. Arsenic

Correct answer: 3. Sodium Amytal

Explanation: (C) Sodium Amytal[?]Post-mortem Internal appearance of SODIUM AMYTAL POISONING;oThese are not characteristic, but mainly those of asphyxia. Cyanosis is present.oA quantity of white particles of ingested Sodium amytal may be seen in the stomach.oGastric mucosa may be eroded and the fundus may be thickened, granular & hemorrhagic.oHemorrhagic blistering & hemorrhagic necrosis of the gastric mucosa may be seen due to poisoning from Seconal & Sodium Amytal.oDetection by Calorimetric methods have now been super seeded by specific gas-liquid and high pressure liquid chromatography methods.[?]POST-MORTEM APPEARANCE OF STOMACH IN VARIOUS POISONING:oHigh concentration of toxic substances on the rugae & Crypts of gastric mucosa or even in the blood in the actual stomach wall.oHyperaemia of gastric mucus membrane by irritant poison shows patchy & deep crimson colour.oRedness of stomach Mucus membrane after death is usually limited posterior wall.oRedness of gastric mucosa is found even in asphyxial deaths.oThe green colour of ferrous suplhate tablets; the blue of amytal capsule; the pink of soneryl are characteristic.oMercury usually causes a slate coloured stain; arsenic may show white particles adherent; strong sulphuric, acetic or hydrochloric acids, & concentrated oxalic acid are likely to blacken or char the wall; nitric acid may causeoyellow colour, carbolic acid may produce buff or white colour and shrivelling; cresols produce brown colour; copper produces a blue or green colour.oThe colour may also be due to bile when there will be no signs of inflammation, or to fruit juice or food, when it is uniform and without signs of inflammation.S. No.PoisonColor1.Copper sulfate, amytal capsuleBlue2.Ferrous sulfateGreen3.Sulphuric hydrochloric/acetic acid 4.Nitric acidYellow5.Carbolic acidBuff/white6.ArsenicWhite particles7.MercurySlate8.CresolsBrown[?]POST-MORTEM EXTERNAL corroded skin and mucous membrane Appearances in various poisoning:-Sulphuric & hydrochloric acid: grey, becoming black from blood;-Nitric acid: brown;-Hydrofluoric acid: reddish-brown;-Carbolic acid: greyish-white;-Oxalic acid: grey, blackened by blood;-Cresols: brown, leathery;-Caustic alkalis: greyish-white;-Mercuric chloride: bluish-white;-Zinc chloride: whitish; chromic acid & potassium chromate: orange, leathery.oColour of post-mortem staining:-The skin may be dark-brown or yellow in phosphorus and acute copper poisoning;-Cherry-red in poisoning by carbon monoxide;-Chacolate-coloured in cases of death from poisoning by nitrites, aniline, nitrobenzene, acetanilide, bromates, chlorates, etc. due to the formation of methaemoglobin.Other Options[?]Arsenic Poisoning:oPost-mortem internal appearance of stomach: Lesions are mainly found in stomach.oLines of redness running along the walls, sub mucus hemorrhages & stomach mucosa resembles red velvet.oMass of sticky mucus covers the mucosa in which particles of Arsenic may be seen.oCongestion is most marked along the crest of rugae.[?]Mercury Poisoning:oMucosa of gastrointestinal tract shows inflammation, congestion, coagulation & corrosion & shows Slate coloured stain.